Characteric finding in restrictive lung disease is:
1. Decreased FEV1
2. Increased TLC
3. Normal FEV1/VC
4. All

Correct answer: 3. Normal FEV1/VC

Explanation: Ans. c (Normal FEV, /Vc). (Ref. Harrison, Principles of Medicine, 18th/1448)OBSTRUCTIVE PATTERNRESTRICTIVE PATTERN (Al 2005)EXTRAPARENCHYMAL PATTERN (INSPIRATORY DYSFUNCTION)Decreased expiratory flow rates (hallmark)Normal forced expiratory flow ratesExpiratory flow rates not affectedDecreased FEV1/VC (in fully established disease)-FEVl/FVC variableTLC normal or increased (Minor change)Decreased lung violume (TLC and VC)TLC not predictableIncreased residual volume (striking)Decreased residual volumeIncreased RVIncresed ratio of RV/TLC--Decreased VC-Decreased MIP